All of the following are the mode of transmission of leprosy except?
1. Breast milk
2. Insect bite
3. Transplacental spread
4. Droplet infection

Correct answer: 3. Transplacental spread

Explanation: Transplacental spread